Protein losing enteropathy is characterized by all except:
1. Decreased serum albumin and globulin
2. Normal lymphatic flow
3. 99mTc -dextran radionuclide study done
4. Lymphangiectasia on biopsy

Correct answer: 2. Normal lymphatic flow

Explanation: Protein losing enteropathy Presents with puffy eyes and pedal edema and low serum albumin in patients with GI diseases. If the loss of albumin exceeds the rate of synthesis, hypoalbuminemia -edema develops Intestinal lymphangiectasia , dilatation of intestinal lymphatics leads to loss of lymph fluid into gastrointestinal tract, leading to the development of hypo-proteinemia and resultant edema. The test used for diagnosis is Tc 99 radio-nuclide scan Choice B is the wrong statement since it says normal flow of Lymphatics.